Hung-up reflexes are seen in
1. Chorea
2. Atheotosis
3. Cerebral palsy
4. Cerebellar palsy

Correct answer: 1. Chorea

Explanation: Ans. is 'a' i.e., Chorea Hung up knee jerk When patellor tendon is tapped while the foot is hanging free, the leg may be held in extension for few seconds before relaxing owing to prolonged contraction of quadriceps. This is seen in "chorea". Other neurological signs associated with chorea Milkmaids grip Piano sign Handwriting Milkmaid's grip Inability to maintain sustained voluntary contraction of muscle group at a constant level. Inability to apply steady pressure during handshake leading to a characteristic squeeze and release of grip. Patient's have difficulty maintaining sustained eyelid closure and sustained tongue protrusion